During cataractogenesis lens stria appear at first in:
1. Upper nasal quadrant
2. Lower nasal quadrant
3. Upper temporal quadrant
4. Lower temporal quadrant

Correct answer: 2. Lower nasal quadrant

Explanation: Ans. Lower nasal quadrant